Which of the following causes highest risk of nosocomial infection to a patient
1. Patient admitted for elective surgery
2. HIV patient coming in follow up OPD
3. Patient undergoing endoscopy
4. Patient admitted for normal delivery

Correct answer: 1. Patient admitted for elective surgery

Explanation: While all hospitalized patients are at risk for HAI, certain subpopulations are at increased risk. These include the elderly, the immune-compromised, the very young or premature, and burn and surgical patients. Ref: Ananthanarayana & panikers 9th edition